Tamoxifen is:
1. Non steroidal antiprogesterone
2. Non steroidal antioestrogenic
3. Synthetic progestogen norethindrone
4. Competitive inhibitor of the 5 a - reductase

Correct answer: 2. Non steroidal antioestrogenic

Explanation: (Non steroidal antioestrogenic) (306-Shaw's 13th) (186-S14th)* Tamoxifen - non steroidal antioestrogenic drug* Clomiphene citrate - non steroidal anti oestrogens related to the diethylstilbestrol (DES)* Mifepristone - Synthetic antiprogesterone* Anti androgens - Cyproterone acetate, Spironolactone, Flutamide, FinastJeride {Inhibitor of 5a- reductase)